Treatment of choice for pneumonia due to Mycoplasma is?
1. Azithromycin
2. Doxycycline
3. Amoxicillin
4. Ciprofloxacin

Correct answer: 1. Azithromycin

Explanation: M. pneumoniae is sensitive to macrolides- Azithromycin (10 mg/kg once PO on day 1 and 5 mg/kg once daily PO on days 2-5).